Xenon anesthesia all are true except
1. Slow induction and recovery
2. Non explosive
3. Minimal cardiovascular side effect
4. Low blood solubility

Correct answer: 1. Slow induction and recovery

Explanation: Advantages of Xenon anesthesia Inert Minimal effect on CVS function Lowest blood solubility Does not trigger malignant hypothermia Environmental friendly Non explosive Refer Goodman Gilman 12/e p 547